Root completion of Mandibular Lateral incisor tooth occurs at an age of
1. 9-10 year
2. 3-4 year
3. 12-13 year
4. None of the above

Correct answer: 1. 9-10 year